Friedlander Pneumonia refers to Pneumonia caused by:
1. Klebsiella
2. Pneumonia
3. H. Influenzae
4. Staphylococcus

Correct answer: 1. Klebsiella

Explanation: Klebsiella Pneumonia is also known as Friedlander Pneumonia - Usually in alcoholics with current jelly sputum - Chest X-ray :- Bulging fissure sign (due to pus in interlobar space) - TREATMENT:- i.v Ceftriaxone + iv Amikacin.